Palatine tonsil develops from which pharyngeal pouch-
1. 1st
2. 2nd
3. 3rd
4. 4th

Correct answer: 2. 2nd

Explanation: Ans. is 'b' i.e., 2nd o Palatine tonsil develops from 2nd pharyngeal pouch.